A 35-year-old male with bilateral asymmetrical ptosis and diplopia on watching TV or working on a laptop.Which test will be useful for diagnosis?
1. Nerve conduction velocity
2. Ice pack test
3. Muscle biopsy
4. CPK- MM Levels

Correct answer: 2. Ice pack test

Explanation: Ans. (b) Ice pack test.The image shows presence of asymmetrical droopy eyelids with history of development of this finding on repeated working of eye muscles. The possible diagnosis is myasthenia gravis which can be identified by Ice pack test.Image source - style="font-family: Times New Roman, Times, serif">